An antiepileptic drug was found successful for treatment of tonic hind limb extension (THLE). It can be used in?
1. Absent seizures
2. General tonic clonic seizure
3. Myoclonic seizure
4. Status epilepticus

Correct answer: 2. General tonic clonic seizure

Explanation: Ans. is 'b' i.e., General tonic clonic seizureRef; Neuropharmacology Methods in Epilepsy Research editedby Steven L. Peterson, Timothy E. Alheson p. 9lBy far the most frequently used endpoint in the quantification of tonic clonic convulsion is tonic hindlimb extension (THLE).Other methods for quantifying tonic clonic seizures are typically used only when THLE can not be reliably induced.